Which artery does not contribute to little's area -
1. Septal branch of facial artery
2. Anterior ethmoidal artery
3. Sphenopalantine A
4. Posterior ethmoidal A

Correct answer: 4. Posterior ethmoidal A

Explanation: Common Sites of Bleeding